A 2-year-old boy presenting with sudden severe dyspnea, most common cause is:
1. Foreign body
2. Bronchiolitis
3. Asthmatic attack
4. None

Correct answer: 1. Foreign body

Explanation: In case of stridor with acute airway obstruction (i.e. dyspnea) always history of any foreign body ingestion should be taken.